A 40 year old female underwent surgery. Postoperatively she told the anaesthetist that she was aware of preoperative events. Individual intraoperative awareness is evaluated by –
1. Pulse oximetry
2. Colour doppler
3. Bispectral imaging
4. End tidal CO2

Correct answer: 3. Bispectral imaging

Explanation: Intraoperative awareness (depth of anaesthesia) is monitored by the Bispectral index.